All of the following are parts of cognitive behaviour change technique except -
1. Pre-contemplatation
2. Consolidation
3. Action
4. Contemplation

Correct answer: 2. Consolidation

Explanation: Stages of cognitive behavior therapy are:- 1) Pre-contemplation; 2) Contemplation; 3) Preparation; 4) Action; 5) Maintenance; 6) Termination / relapse.